Microvesicular type of fatty liver is seen in the following except -
1. Acute fatty liver of pregnancy
2. Alcoholic liver disease
3. Reye's syndrome
4. Phosphorus intoxication

Correct answer: 2. Alcoholic liver disease

Explanation: Ans. is 'b' i.e., Alcoholic liver disease